Serum gamma-glutamyl transpeptidase increase in (GGT)
1. muscle injury
2. Alcoholism
3. Muscular dystrophy
4. Mycardial infarction

Correct answer: 2. Alcoholism

Explanation: GGT have 11 isoenzymesIt is seen in liver pancreas intestinal cells and prostate glandsNormal level is 10-30 U/LGGT is clinically important because of its sensitivity to detect alcohol abuseModerately increase in infective hepatitis and prostate cancerRef: DM Vasudevan - Textbook of Biochemistry, 8th edition, page no: 82